Saliva dribbling from mouth is characteristic of-
1. Postmortem hanging
2. Antemortem hanging
3. Suicidal hanging
4. Homicidal strangulation

Correct answer: 2. Antemortem hanging